Papain acts an gamma globulin to form ?
1. 2 Fc fragments
2. 2 Fab fragments
3. 1 Fab fragments
4. None

Correct answer: 2. 2 Fab fragments

Explanation: Ans. is 'b' i.e., 2 Fab fragments . Papain acts at hinge region to produce :? 1) One Fe fragments 2) Two Fab fragments